39-year-old obese patient present with features of UTI and RBS-200 mg/dl, urine shows pus cells, true about therapy is -a) Glipizide is D.O.C.b) Insulin can be givenc) Ciprofloxacind) Test for micro albumin to be bonee) Metformin can be given
1. bce
2. bc
3. acd
4. ace

Correct answer: 1. bce